Koenen's periungal fibroma is seen in –
1. Tuberous sclerosis
2. Neurofibromatosis
3. Psoriasis
4. Alopecia aerata

Correct answer: 1. Tuberous sclerosis

Explanation: Koenen's periungual fibroma is seen in tuberous sclerosis.